Murder is _________offence:
1. Cognizable, non - compoundable and non - bailable
2. Cognizable, compoundable and bailable
3. Non - cognizable, non- compoundable and non - bailable
4. Non - cognizable, compoundable and bailable

Correct answer: 1. Cognizable, non - compoundable and non - bailable

Explanation: Cognizable offence means offence in which police officer can arrest a person without warrant from magistrate. it includes rape, murder, dowry, ragging, robbery and death due to rash and negligent death. In such an offence bail is not granted. Compoundable offences are those offences where, the complainant (one who has filed the case, i.e. the victim), enter into a compromise, and agrees to have the charges dropped against the accused.